Bains' circuit is Mapelson type – circuit –
1. Tyep A
2. Type B
3. Type D
4. Type E

Correct answer: 3. Type D

Explanation: Type A  → Magill circuit
Type C  → Water's (to & fro) circuit
Type D  → Bain's circuit
Type E  → Ayre's T piece
Type F  →  Jackson - Rees circuit